Tumor marker secreted in choriocarcinoma is :
1. CEA
2. Prolactin
3. HCG
4. Alfa feto protein

Correct answer: 3. HCG

Explanation: HCG